ESI act does not cover which of the following:
1. Hotel employee
2. Transpoters
3. Railway employees
4. Factory employees

Correct answer: 3. Railway employees

Explanation: Ans. C: Railway employeesThis act covers all employees including engaged through the contracts but whose remuneration does not exceed Rs. 10, 000 p.m. including staff in the class of administrative, canteen, loading-unloading, security, etc.Apprentices who are appointed for learning the work with no right of being absorbed in service, do not come with the ambit of this act.